Blood stained nipple discharge is seen in:
1. Breast abscess
2. Fibro adenoma
3. Ductal papilloma
4. Fat necrosis of breast

Correct answer: 3. Ductal papilloma

Explanation: Ans. (c) Ductal papilloma(Ref: Schwartz 10/e p554)MC Cause of Blood Stained Nipple Discharge in* Young age - Duct Papilloma* Old Age - Carcinoma Breast.